All of the following antibacterial agents acts by inhibiting cell wall synthesis, except:
1. Carbapenems
2. Monobactams
3. Cephamycins
4. Nitrofurantation

Correct answer: 4. Nitrofurantation

Explanation: Nitrofurantoin acts by generation of highly reactive intermediates which damage DNA. It does not inhibit cell wall synthesis. Ref: Essentials of Pharmacology by K D Tripathi, 5th Edition, Pages 628, 667; Antibiotic Manual: A Guide to Commonly Used Antimicrobials By David Schlossberg, Rafik Samuel, M.D., 2011, Page 310.